Leflunomide is used in the treatment of :
1. Rheumatoid arthritis
2. Dermatomyositis
3. Bony metastasis
4. Postmenopausal osteoporosis

Correct answer: 1. Rheumatoid arthritis